The local anesthetic with the longest duration of action is
1. Procaine
2. Chlorprocaine
3. Lignocaine
4. Dibucaine

Correct answer: 4. Dibucaine

Explanation: Longest acting, most potent and most toxic local anesthetic is dibucaine.
Chlorprocaine is the shortest acting local anesthetic.